The most distinctive feature of pathogenic Entamoeba histolytica on fresh stool examination is -
1. Presence of active pseudopodia
2. Erythrophagocytosis
3. Presence of intracytoplasmic vacuole
4. Presence of two nucleoli

Correct answer: 2. Erythrophagocytosis

Explanation: Ans. is 'b' i.e., Erythrophagocytosis . The presence of red blood cells in the cytoplasm (erythrophagocytosis) is diagnostic of E. histolytica as it is the only intestinal amoeba to exhibit this characteristic.